DNA denaturation is measured by absorbance at
1. 220nm
2. 230nm
3. 240 nm
4. 260nm

Correct answer: 4. 260nm

Explanation: Increase in the optical absorbance of UV light by Purine and Pyrimidine bases called hyperchromicity.( DNA bases absorbs UV light of 260nm).